2 months old child having birth weight 2kg, with poor feeding, very sleepy and wheezing. The diagnosis is -
1. No pneumonia
2. Severe pneumonia
3. Very severe disease
4. None

Correct answer: 3. Very severe disease